True regarding fibromuscular dysplasia are all except
1. Medium size vessels
2. OCPS predispose
3. Aneurysm may occur
4. Irregular hyperplasia

Correct answer: 2. OCPS predispose

Explanation: OCPS predispose Fibromuscular dysplasia affects mainly medium and large arteries. Sometimes alteration of the normal normal structure of the arterial wall gives rise to true aneurysms. There is also associated irregular hyperplasia. Muir's Textbook of pathology Edited by JR Anderson, 12 th edition, page no 14.36 Answer is option 2